Inhibition of bile secretion will NOT reduce the intestinal absorption of:
1. Vitamin A
2. Vitamin B1
3. Vitamin K
4. Vitamin D

Correct answer: 2. Vitamin B1

Explanation: Inhibition of bile secretion will have little effect on the intestinal absorption of a water-soluble vitamin B1 (thiamine). All of the other structures listed are fat-soluble and for a successful intestinal absorption should be emulsified by the bile acids (glycocholic and taurocholic acid). Ref: Textbook Of Biochemistry And Human Biology, 3rd Ed, Page 524